The mainstay of treatment of vitiligo is?
1. PUVA
2. Imiqinod
3. Acyclovir
4. Coal tar

Correct answer: 1. PUVA

Explanation: Ans. is 'a' i.e., PUVA